An eye surgery was performed using propofol as the intravenous anaesthetic agent succinylcholine as the muscle relaxant. Recovery from anaesthesia was uneventful. However the patient complains of pain in the muscles. Which of the following is thelikely reason for this?
1. Propofol
2. succinylcholine
3. Muscle infarction
4. None of the above

Correct answer: 2. succinylcholine

Explanation: Succinylcholine is the depolarising muscle relaxant. It causes fasciculations that causes muscle pains(myalgia,muscle weakness)